Which of the following antibiotic prescribed in case of juvenile periodontitis?
1. Tetracycline
2. Erythromycin
3. Sulfadiazine
4. Cephalexin

Correct answer: 1. Tetracycline